Pancytopenia with hypercellular marrow could be due to all, EXCEPT:
1. Myelodysplasia
2. Paroxysmal nocturnal hemoglobinuria
3. Sarcoidosis
4. Dyskeratosis congenita

Correct answer: 4. Dyskeratosis congenita

Explanation: Dyskeratosis congenita is associated with pancytopenia and hypocellular bone marrow. Pancytopenia with hypercellular marrow is seen in: Myelodysplasia Myelofibrosis Hairy cell leukemia Tuberculosis Sarcoidosis Brucellosis PNH Hypocellular Bone marrow +/- Cytopenia: Q fever Legionnaires disease Anorexia nervosa, starvation Mycobacterium